Management of 1 week old baby with Imperforate anus and Meconuria is ?
1. Conservative
2. VY Plasty
3. Colostomy
4. ileostomy

Correct answer: 3. Colostomy

Explanation: Management of anorectal malformation in one week old baby is colostomy. Colostomy is done first at the later stages other surgeries are done inorder to correct the defect Reference: GHAI Essential pediatrics, 8th edition